Most common liver cell tumor in those on OCP's
1. HCC
2. Liver cell adenoma
3. Bile duct adenoma
4. FNH

Correct answer: 2. Liver cell adenoma

Explanation: Hepatic adenoma It is a benign proliferative disorder of hepatocytes Predominantly found in young women (20-40yrs) associated with OCP's Usually single ( multiple lesions in 12-30%)